All the muscles are involved in accommodation reflex except:
1. Medial rectus
2. Lateral rectus
3. Ciliaris muscle
4. Sphincter pupillae

Correct answer: 2. Lateral rectus

Explanation: - Lateral rectus is not involved in accomodation reflex. - Accommodation reflex involves : Convergence of eyeball - by medial rectus Constriction of pupil - by sphincter pupillae Increase in thickness of lens -by ciliaris muscle